Stem cells are present where in cornea -
1. Limbus
2. Stroma
3. Epithelium
4. Descmet's membrane

Correct answer: 1. Limbus

Explanation: Answer- A. LimbusLimbal stem cells (also called corneal epithelial stem cells) are stem cells located in the basal epithelial layer of the corneal limbus.Proliferation of limbal stem cells maintains the cornea; for example, replacing cells that are lost tears.Limbal stem cells also prevent the conjunctivalepithelial cells from migrating onto the surface ofthe cornea.